Thiazides do not produce
1. Hyperglycemia
2. Acidosis
3. Alkalosis
4. Hyperlipidemia

Correct answer: 2. Acidosis

Explanation: Loop and thiazide diuretics cause loss of H+ ions in urine.body will be in metabolic alkalosis state .potassium sparing diuretics cause metabolic acidosis.Ref:Katzung 10th ed Pg 246